Visual field defect in a woman with pituitary adenoma compressing the optic chiasma
1. Homonymous hemianopia
2. Bitemporal hemianopia
3. Bi nasal hemianopia
4. Quadrantanopia

Correct answer: 2. Bitemporal hemianopia

Explanation: Ref: Kanski: Clinical Ophthalmology; 7th edition.Explanation:Normal chiasmal position is seen in 80%Prefixed chiasma - placed in front of the pituatory fossa - 10%Postfixed chiasma - placed posteriorly above the pituatory fossa-10%.